A vascular necrosis can be a possible sequelae of fracture of all of the following bones, EXCEPT:
1. Talus
2. Femur neck
3. Scaphoid
4. Calcanuem

Correct answer: 4. Calcanuem

Explanation: Complications of calcaneal fracture are nonunion, gait abnormalities, chronic disability, compartment syndrome and tendon rupture. Avascular necrosis does not occur as a complication of calcaneal fracture. Calcaneus is the most frequently fractured bone of the foot, it is typically injured after landing on the feet after fall from a height. Calcaneal fractures are frequently bilateral and often combined with fractures of thoracolumbar spine. Calcaneal fracture is suspected when the Bohler's angle is less than 20 or greater than 40 degrees. Ref: Emergency Radiology: Imaging and Intervention By Borut Marin?ek, Page 286; Greenberg's Text-Atlas of Emergency Medicine By Michael I. Greenberg, Pages 506, 519.